Choose the most effective mechanical device for cleaning interdental surface of teeth
1. Conventional tooth brush
2. Powered tooth brush
3. Triangular tooth picks (TTP)
4. Interdental brush

Correct answer: 4. Interdental brush